Dentin bonding agents usually contain
1. Only hydrophobic component
2. Only hydrophilic component
3. Hydrophobic and hydrophilic component
4. lyophilic and lyophobic component

Correct answer: 3. Hydrophobic and hydrophilic component